Root value of medial cutaneous nerve of thigh
1. L1L2
2. L2L3
3. L4L5
4. L5S1

Correct answer: 2. L2L3

Explanation: The medial cutaneous nerve of the thigh (L2, L3) - It is a branch of the anterior division of the femoral nerve. It divides into anterior and posterior divisions. The nerve supplies the skin on the medial side of the lower two thirds of the thigh, and of the upper one-third of the leg. Ref : B D Chaurasia's Human Anatomy , seventh edition , volume 2, pg. no., 45.